Bacteria most commonly involved in bowel decomposition after death is-
1. Streptococcus pyogens
2. Clostridium welchii
3. Pseudomonas aerogenosa
4. None

Correct answer: 2. Clostridium welchii

Explanation: Putrefaction is mainly caused by the action of enzyme LECITHINASE produced by clostridium welchi ( from bowels), Lecithinase caused marked hemolysis, liquefaction in blood vessels & tissue spaces. Clostirudium welchi is termed as the chief destructive agent in decomposition